Feature of ante mortem drowning is
1. Cutis anserine
2. Rigor mortis
3. Washer womans feet
4. Grass and weeds grasped in hand

Correct answer: 4. Grass and weeds grasped in hand

Explanation: Cadaveric spasm Weed particles, twigs, leaves, etc may be seen firmly grasped in hands due to cadaveric spasm. This indicates that the person was alive when entered the water and was struggling. Cadaveric spasm with weed particles in hand can be taken as a definite ante-mortem sign of drowning. Ref: FORENSIC MEDICINE AND TOXICOLOGY Dr PC IGNATIUS THIRD EDITION PAGE 264